Cholelithiasis and choledocholithiasis is caused by?
1. Clofibrate
2. Chloramphenicol
3. Cotrimaxozole
4. NS AIDS

Correct answer: 1. Clofibrate

Explanation: ANSWER: (A) ClofibrateREF: Robbin's 8th ed CH: 8Drugs causing cholelithiasis and choledocholithiasis:Clofibrates: Clofibrate, used to lower blood cholesterol, increases hepatic HMG-CoA reductase and decreases conversion of cholesterol to bile acids by reducing cholesterol 7-a-hydroxylase activity. The net result of these influences is excess biliary secretion of cholesterolEstrogen and OOP'SSomatostatin analogues appear to predispose to gallstones by decreasing gallbladder emptying.Ampicillin